More than 50% of Poly Unsaturated Fatty Acid is seen in all, except:
1. Mustard oil
2. Soybean oil
3. Safflower oil
4. Corn oil

Correct answer: 1. Mustard oil

Explanation: >50% PUFA Soybean oil Safflower oil Corn oil Palm oil Ref: Park, 20th Edition, Page 528